Most important stimulus to peripheral chemoreceptors
1. PO2
2. CO2
3. pH
4. HCO3

Correct answer: 1. PO2

Explanation: Peripheral chemoreceptors are activated by changes in the partial pressure of oxygen and trigger respiratory drive changes aimed at maintaining normal partial pressure levels.Ref: Ganong review of medical physiology 23rd edition Page no: 562